Coronary sinus is guarded by
1. Crista terminalis
2. Thebesian valve
3. Mitral valve
4. Spiral valve

Correct answer: 2. Thebesian valve

Explanation: Opening of coronary sinus is guarded by thebesian valve. BD CHAURASIA'S HUMAN ANATOMY VOLUME 1. 6TH EDITION.Page no -255